The predominant isozyme of LDH in cardiac muscle is:
1. LD-1
2. LD-2
3. LD-3
4. LD-5

Correct answer: 1. LD-1

Explanation: LD-1 is the predominant isoenzyme of LDH in cardiac muscle. Ref: Harper's Principles of Internal Medicine, 26th Edition, Page 57; Textbook of Biochemistry By Vasudevan, 5th Edition, Page 53